The Antidote for Cyanide poisoning is
1. Atropine
2. 2-Pralidoxime
3. Sodium nitrite with sodium thiosulfate
4. None of the above

Correct answer: 3. Sodium nitrite with sodium thiosulfate

Explanation: (C) Sodium nitrite with sodium thiosulfate # Cyanide poisoning:> Treatment: Stomach wash or emesis, activated charcoal and cathartic. 100 ml. of 50% glucose, 2 mg. naloxone, and 100 mg. thiamine i.v. 5 to 10 mg. diazepam, if the patient is violent or aggressive. Assure the patient that he will I recover. If flashbacks occur give antianxiety and if necessary antipsychotic drugs, such as haloperidol. Psychotherapy.